Modern dental noble metal casting alloys generally have equiaxed fine grain structures because of the incorporation of small amounts of
1. Chromium
2. Indium
3. Iridium
4. Palladium

Correct answer: 3. Iridium